When does a child begin to wave bye bye?
1. 6 months
2. 9 months
3. 12 months
4. 15 months

Correct answer: 2. 9 months

Explanation: A child begins to wave bye bye at the age of 9 months. Important milestones at 9 months: Standing with support Immature pincer grasp Waves bye bye Speaks bi- syllables like mama, papa, without meaning Bi- syllables babbling CAUTION : TIMING FOR USUAL APPEARANCE OF REFLEX IS NOT SAME AS TIMING FOR LABELLING IT AS RED FLAG SIGN bye bye : appears at 9 months red flag : if bye-bye not present at 12 months Red flag sign means the upper limit for age at which reflex if not present - is abnormal